Which of the following is not a rapidly growing atypical mycobacteria causing lung infections -
1. M. chelonae
2. M.fortuitum
3. M.abscessus
4. M.kansasii

Correct answer: 4. M.kansasii